A child born with microcephaly, chorioretinitis and intra cranial calcifiction. Most likely diagnosis is –
1. Congenital syphilis
2. Rubella
3. Toxoplasmosis
4. Trypanosomiasis

Correct answer: 3. Toxoplasmosis